Vitamin A is present in all of the following sources of diet, EXCEPT:
1. Sunflower seeds
2. Egg
3. Milk
4. Tomato

Correct answer: 1. Sunflower seeds

Explanation: Sunflower seeds are unusually rich in B complex vitamins. Sunflower seeds also contain a potent antioxidant team of selenium and vitamin E and are significantly deficient in vitamin A. There are two sources of dietary vitamin A. The first, or active form (retinol), is immediately available to the body and can be obtained from animal products such as milk, egg yolk, fish and liver. The second, or precursor form (beta-carotene), can be obtained from fruit and vegetables, and is converted to the active form in the body.